Drugs undergoing acetylation include all except:
1. Dapsone
2. Metoclopramide
3. Procainamide
4. INH

Correct answer: 2. Metoclopramide

Explanation: Ans. B. MetoclopramideAcetylation by N-acetyl transferases (NAT)e.g, S - SulfonamidesH - HydralazineI - IsoniazidP - Procainamide, PASD - DapsoneC - Clonazepam, Caffeine